All are true about Boerhaave's syndrome except
1. Oesophagus bursts at its weakest point in the lower third
2. Barotrauma
3. Vomiting occurs against a closed glottis
4. Vertical split in the gastric mucosa

Correct answer: 4. Vertical split in the gastric mucosa

Explanation: In Boerhaave's syndrome, vomiting occurs against a closed glottis and pressure builds up in the oesophagus. The pressure in the oesophagus increases rapidly, and the oesophagus bursts at its weakest point in the lower third, sending a stream of material into the mediastinum and often the pleural cavity as well. In Mallory-eiss syndrome, forceful vomiting may produce a mucosal tear at the cardia rather than a full perforation. A vertical split in the gastric mucosa, immediately below the squamocolumnar junction at the cardia is seen in 90% of cases. In only 10% is the tear in the oesophagusRef: Bailey and love 27e pg: 1072